Which type of tonometer is best for measuring IOT –
1. Schiotz tonometer
2. Applanation tonometer
3. Pulse air tonometer
4. Indentation tonometer

Correct answer: 2. Applanation tonometer

Explanation: Measurement of intraocular pressure (1OP)

Measurement of IOP is done by:-


Manometry :- It is the only direct measure of IOP.
Tonometry :- It is an indirect method of measurement of IOP. Following types of tonometers are there:-

i)    Indentation (impression) tonometer :- These are the most commonly used tonometers. An example is Schiotz tonometer.
ii)  Applanation tonometer :- Goldmann applanation tonometer is the most accurate tonometer. Other types of applanation tonometers are perkin 's tonometer, pneumatic tonometer; air-puff tonometer, Pulse air tonometer, Tono pen.